Soft S1 is seen in all except
1. MR
2. VSD
3. Short PR interval
4. Calcific valve

Correct answer: 3. Short PR interval

Explanation: A short PR interval results in an accentuated S1, as the mitral valve leaflets will be further apart at the onset of ventricular systole The first heart sound (S1) results from the closing of the mitral and tricuspid valves. The sound produced by the closure of the mitral valve is termed M1, and the sound produced by closure of the tricuspid valve is termed T1. The M1 sound is much louder than the T1 sound due to higher pressures in the left side of the heart; thus, M1 radiates to all cardiac listening posts (loudest at the apex), and T1 is usually only heard at the left lower sternal border. This makes the M1 sound the main component of S1. Soft S1is seen in Mitral regurgitation, severe congestive heart failure, calcified mitral valve, left bundle branch block, long PR interval (1st degree atrioventricular block) Ref Davidson 23rd edition pg 467